EMQ/EMI Theme: Nerve Injury
A Facial nerve 
B Inferior alveolar nerve 
C Lingual nerve 
D 5% 
E 0.5% 
F 2% 
G 10% 
H Glossopharyngeal 
I Hypoglossal 
J 1/200 000 
K 0.05% 
L 0.01%
For each of the following questions, choose the most appropriate option from the list above.
1What is the incidence of permanent lingual nerve injury subsequent to mandibular third molar surgery?
2 Which nerve neuropathy is most commonly idiopathic?
3 What is the incidence of temporary inferior alveolar nerve injury subsequent to mandibular third molar surgery?
4 A patient presents with deviation of the tongue on protrusion. Which nerve is responsible?
5 The patient presents with lack of sensation of their lower lip, gingivae and teeth on the right side. Which nerve is affected?
1. 1E 2A 3F 4B 5 I
2. 1E 2A 3F 4I 5B
3. 1A 2E 3F 4I 5B
4. 1F 2E 3A 4I 5B

Correct answer: 2. 1E 2A 3F 4I 5B

Explanation: 1 E 0.5%
2 A Facial nerve
3 F 2%
4 I Hypoglossal
5 B Inferior alveolar nerve

Nerve injury is a common and serious side-effect of wisdom tooth extraction. The correct statistics should be quoted to a patient when taking consent, to make sure that the consenting procedure is valid.